Merits of nasotracheal intubation is -
1. Good oral hygiene
2. Less infection
3. Less miscosal damage and bleeding
4. More movement or displacement of endotracheal tube

Correct answer: 1. Good oral hygiene

Explanation: Ans. is 'a' i.e. Good oral hygieneIntubation can be done in two ways :Orotracheal intubationNasotracheal intubationOrotracheal intubation is the preferred technique in most cases. It is most suited to an emergency situation (nasotracheal intubation requires a little extra time.Orotracheal intubation under direct larynx goscopy is generally the easier route and the one of choice in unstable patients when rapid re-establishment of the airway is essential.Nasotracheal intubation is better tolerated during prolonged mechanical ventilation.Nasotracheal intubation has certain drawbacksIncreased risk of nosocomial sinusitisIncreased risk of mucosal damage and bleeding, therefore, nasotracheal intubation should be avoided in coagulopathiesRestricted movement of the endotracheal tubeComplications of orotracheal tube occur due toOcclusion or displacement of the tube and airway trauma.